Which is not a characteristic of wegeners granulomatosis?
1. Granuloma in vessel wall
2. Focal necrotising glomerulonephritis
3. Positive for cANCA
4. Involves large vessels

Correct answer: 4. Involves large vessels

Explanation: Wegener granulomatosis is a necrotizing vasculitis characterizedby a specific triad of findings:* Granulomas of the lung and/or the upper respiratorytract (ear, nose, sinuses, throat)* Vasculitis of small to medium-sized vessels (capillaries,venules, arterioles, and arteries), most prominently inthe lungs and upper respiratory tract* GlomerulonephritisWegener granulomatosis is likely to be initiated as acell-mediated hypersensitivity response directed againstinhaled infectious or environmental antigens. PR3-ANCAsare present in almost 95% of cases and probably drive thesubsequent tissue injury.(Robbins basic pathology,9th edition,pg no.353)